Which of the following medicaments is indicated to obturate the canals of a primary tooth in which a pulpectomy was performed?
1. Gutta-percha
2. Calcium hydroxide
3. Zinc oxide-eugenol
4. Calcium hydroxide-CMCP paste

Correct answer: 3. Zinc oxide-eugenol

Explanation: Zinc Oxide Eugenol 

Most commonly used.
Bonastre (1837) discovered zinc oxide eugenol (ZOE) and it was subsequently used in dentistry by Chisholm (1876). 
Zinc oxide eugenol paste, the first root canal filling material to be recommended for primary teeth, as described by Sweet in 1930. 
Zinc oxide eugenol is said to have anti-inflammatory and analgesic properties. 
Its limitations are slow resorption, irritation to the periapical tissues, necrosis of bone and cementum and alters the path of erupting teeth. 
When ZOE mixture is used, thin mixture is used to coat the walls of the canal, followed by a thick mixture that can be manually condensed into the lumen of the canal. 
Barr et al. showed 82.3 percent clinical success rate, Gould showed 86.1 percent, Coll et al. showed 86.1 percent clinical success rate. 
Barcelos et al. showed 85 percent of clinical success with ZOE but the overfilling was evident even after evaluation period.

Reference: Pediatric Dentistry by Nikhil Marwah 3rd ed, page  no 672